Radiation caries appears in:
1. 3 weeks
2. 6 months
3. 3 months
4. 6 weeks

Correct answer: 3. 3 months